Which of these are true of Gilbert's syndrome ?
1. Increased liver transaminases
2. Unconjugated hyperbilirubinemia
3. Bleeding tendency
4. Presence of auto-antibodies

Correct answer: 2. Unconjugated hyperbilirubinemia

Explanation: Ans. is 'b' i.e., Unconjugated hyperbilirubinemia